The minimum number of polyps necessary for a diagnosis of Familial Adenomatous Polyposis (FAP) is:
1. 5
2. 10
3. 50
4. 100

Correct answer: 4. 100

Explanation: Ans. (d) 100(Ref: Robbins 9th/pg 809; 8th/pg 820-824)Classic FAP -At least 100 polyps are necessary for a diagnosis QAttenuated FAP-lower number of adenomatous polyps (around 30)